Following are antioxidants except
1. Carotenoids
2. Benzene
3. Vit E
4. Selenium

Correct answer: 2. Benzene

Explanation: Ans: b (benzene) Ref: Vasudevan 4th ed/ p.341Examples of antioxidants:-Vit E SeleniumCaffeineBeta caroteneVit ACeruloplasminVit CMannitolNote:Stronger natural (biological) antioxidant-Vitamin EPreventive antioxidants- inhibit initial production of free radicals, eg. Catalase, glutathione peroxidise, dieth) triamine penta acetic acid (DTPA), EDTAChain breaking antioxidants:- inhibit propagati ve phase eg: super oxide dismutase, vitamin E.